PUVA therapy is used in:
1. Psoriasis
2. Lichen planus
3. Freckles
4. Melasma

Correct answer: 1. Psoriasis

Explanation: A i.e. Psoriasis